Misoprostol is a?
1. Prostaglandin E1 analogue
2. Prostaglandin E2 analogue
3. Prostaglandin antagonist
4. Antiprogestin

Correct answer: 1. Prostaglandin E1 analogue

Explanation: Misoprostol -PGE1 analog used for abortion-200mg.BD/orally. along with mifepristone to induce abortion in 1st few wks of pregnancy. Ulcer protective agent-200mg orally QID Ref: KD Tripathi 8th ed.